Association Fibersare white matter fibers which connect :
1. Corresponding areas in two cerebral hemisphere
2. Cerebral cortex with lower level in brain
3. Different cortical areas in the same hemisphere
4. Different cranial nerve nuclei

Correct answer: 3. Different cortical areas in the same hemisphere

Explanation: Association fibers: Connect different cortical areas in the same hemisphere
Projection Fibers: Connect cerebral cortex with lower level in brain (Eg. Brainstem, spinal cord)
Commissural fibers: Connect corresponding areas in the two cerebral hemispheres